Fatal dose of methanol -
1. 15 ml
2. 30-60 ml
3. 60-250 ml
4. 500 ml

Correct answer: 3. 60-250 ml

Explanation: Fatal dose of methyl alcohol is 60-250 ml in adults, but as little is 15 ml can cause blindness.